All of the following statements about Bartter's syndrome are true, except:
1. Genetic defect in transport protein of distal tubule
2. Metabolic Alkalosis
3. Hypokalemia
4. Increase in urinary calcium

Correct answer: 1. Genetic defect in transport protein of distal tubule

Explanation: Genetic defect in Bartter syndrome is located in the thick ascending limb of the loop of Henle. Bartter's syndrome: Resembles Loop diuretics Inheritance: Autosomal recessive disorder Pathophysiology: Resembles Loop diuretics Genetic defect involving the transporter's in the thick ascending limb of the loop of henle. Defects in Na+-K-2Cl cotransporter, K or Cl channels result in lack of concentrating ability Clinical presentation: History of polyuria and polydypsia Hypokalemic metabolic alkaosis without Hypertension Presents early in life, often with sensineural deafness , traingular facies with drooping mouth and large eyes and pinnae, and renal failure. Laboratory Data: Chloride resistant Metabolic Alkalosis and Hypokalemia Normal serum magnesium Increased Urinary Calcium Excretion Ref: Harrisons 19th edition